An infertile man, 28 years of age with semen analysis suggestive of azoospermia on two occassions,one month apart. FSH normal Testosterone normal. Most probable cause is?
1. Undescended testis
2. Klinefelter's syndrome
3. Kallmann syndrome
4. VAS obstruction

Correct answer: 4. VAS obstruction

Explanation: Kallman syndrome- Hypothalamic failure, Low FSH Klinefelters will have Testicular atrophy high FSH Undescended testes also will have high FSH Normal FSH and testosterone will be seen in obstructive azoospermia such as obstruction of vas deferens